Mucin producing glands are seen in NE :
1. Vagina
2. Oesophagus
3. Cervix
4. Duodenum

Correct answer: 1. Vagina

Explanation: Vagina